The immediate degradation of glycogen under normal conditions gives rise to which one of the following?
1. More glucose than glucose-1-phosphate
2. More glucose-1-phosphate than glucose
3. Equal amounts of glucose and glucose-1-phosphate
4. Neither glucose nor glucose-1-phosphate

Correct answer: 2. More glucose-1-phosphate than glucose

Explanation: Phosphorylase produces glucose-1-phosphate from glucose residues linked a-1,4. Free glucose is produced from a-1,6-linked residues at branch points by an a-1,6-glucosidase activity of the debranching enzyme. Degradation of glycogen produces glucose-1-phosphate and glucose in about a 10:1 ratio, which is the ratio of the a-1,4 linkages to a-1,6 linkages.